Oakley-Fulthorpe procedure is:
1. Single diffusion in one dimension
2. Double diffusion in one dimension
3. Single diffusion in two dimensions
4. Double diffusion in two dimensions

Correct answer: 2. Double diffusion in one dimension

Explanation: *Various immunodiffusion test *Single diffusion in one dimension - Oudin procedure *Double diffusion in one dimension - Oakley fulthorpe procedure *Single diffusion in two dimensions - Radial immunodiffusion *Double diffusion in two dimensions - Ouchterlony procedure